Most commonly foreign body lodges in which part of esophagus
1. At the level of cricopharyngeus
2. Where it crosses the aortic arch
3. Where it is crossed by left bronchus
4. Where it pierces the diaphragm

Correct answer: 1. At the level of cricopharyngeus

Explanation: There are physiological constrictions in esophagus at 4 levels as mentioned below, foreign body M/C lodges at first constriction. Constriction of oesophagus Vertebral Level Distance From Upper Incisors Cricopharyngeal C6 6" Arch of aorta T4 9" Crossing of left bronchus T6 11" Esophageal opening in diaphragm T10 15"